In which one of the following conditions Dactylitiscan not be seen-
1. Sickle - cell anemia
2. Beta thalassemia
3. Congenital syphilis
4. Tuberculosis

Correct answer: 2. Beta thalassemia